Following is the cause for sudden loss of vision in diabetic patient:
1. Central material artery block
2. Vitreous haemorrhage
3. Tractional retinal detachment
4. Neovascular glaucoma

Correct answer: 2. Vitreous haemorrhage

Explanation: Vitreous haemorrhage